Caput succedaneum in a newborn is:
1. Collection of blood under the pericranium
2. Collection of sero-sanguineous fluid in the scalp
3. Edema of the scalp due to grip of the forceps
4. Varicose veins in the scalp

Correct answer: 2. Collection of sero-sanguineous fluid in the scalp

Explanation: Ans. Collection of sero-sanguineous fluid in the scalp